Cock's peculiar tumor is -
1. Rodent ulcer of nose
2. Local osteomyelitis of cranium
3. Chronic infection of sebaceous cyst
4. Keratin horn

Correct answer: 3. Chronic infection of sebaceous cyst

Explanation: Ans. is 'c' i.e., Chronic infection of sebaceous cyst o Cocks peculiar tumour is actually a complication of sebaceous cyst. When the sebaceous cyst of the scalp ulcerates excessive granulation tissue forms resembling fungating epithelioma.This is called cock's peculiar tumour.